All are seen in organic psychosis except :
1. Disorientation in place, time & person
2. Clouding of conciousness
3. Hallucination
4. Normal common knowledge

Correct answer: 4. Normal common knowledge

Explanation: D. i.e. Normal common knowledge